Which of the following has propensity to metastasize through lymph nodes -
1. Alveolar rhabdomyosarcoma
2. Osteosarcoma
3. Both
4. None

Correct answer: 1. Alveolar rhabdomyosarcoma

Explanation: Alveolar rhabdomyosarcoma is a type of rhabdomyosarcoma characterized by its appearance, which is similar to the alveoli of the lungs. It can be associated with a fusion protein between PAX3 and FKHR (now known as FOXO1). It can also be associated with PAX7-FKHR.Alveolar rhabdomyosarcoma (ARMS) typically affects all age groups equally. It makes up a larger portion of RMS in older children and teens than in younger children (because ERMS is less common at older ages). ARMS most often occurs in large muscles of the trunk, arms, and legs. The cells of ARMS look like the normal muscle cells seen in a 10-week-old fetus. ARMS tends to grow faster than ERMS and usually requires more intense treatment.